In pure tone audiogram the symbol X is used to mark
1. No change in air conduction in right ear
2. Bone conduction in right ear
3. Air conduction in right ear
4. Air conduction in left ear

Correct answer: 4. Air conduction in left ear

Explanation: Ref:- Dhingra; pg num:-30